Exclusive breast feeding should be done till what age-
1. 3Month
2. 6 Month
3. 9 Month
4. 1 Year

Correct answer: 2. 6 Month

Explanation: Ans. is 'b' i.e., 6 month o Exclusive breast feeding should be done till 6 month of age.o Complimentary food along with continued breast feeding upto 2 year of age.o To enable exclusive breast feeding, WHO & UNICEF recommend -Initiation of breast feeding within first hour of life.Exclusive breast feeding - that is the infant only receive breast milk without any additional food or drink not even water.Breast feeding on demand.No use of bottles, teat or pacifiers.